Gutzmann pressure in pubuophonia is given
1. Backwards and Downwards
2. Backwards
3. Backwards and up
4. Downwards

Correct answer: 1. Backwards and Downwards